Brainstem nucleus not derived from the alar plate
1. Dentate
2. Inferior olivary
3. Hypoglossal
4. Substantia nigra

Correct answer: 3. Hypoglossal

Explanation: Hypoglossal nucleus is a pure motor nucleus derived from the anterior basal plate neural tube Posterior alar plate gives sensory (not motor) nuclei. Ref: Gray's39e/p-518